Reservoir of Bartonella angiomatosis -
1. Cats
2. Dogs
3. Cattle
4. Pigs

Correct answer: 1. Cats

Explanation: Bacillary angiomatosis is an HIV associated disease caused by B.quintana or henselae. Reservoir is cat. Reference:Ananthanarayan &Paniker's textbook of Microbiology,9th edition,page no:413.